Clubbing of the fingers is seen in all of the following
conditions except:
1. Bronchiectasis
2. Coronary artery disease
3. Lung abscess
4. Tetralogy of Fallot

Correct answer: 2. Coronary artery disease